Not obtained from plant source
1. Cobalamine
2. Riboflavin
3. Thiamine
4. Vitamin A

Correct answer: 1. Cobalamine

Explanation: Cobalamine(Vitamin B12)is synthesized only by microorganisms; it is not present in plants. Animals obtain the vitamin performed from their natural bacterial flora or by eating foods derived from other animals. Cobalamin is present in appreciable amounts in liver, whole milk, eggs, oysters, fresh shrimp, pork, and chicken. Ref: Lippincott, Textbook of Biochemistry, page no 376